Mucos membrane of vagina is lined by
1. Nonkeratinized Stratified Squamous epithelium
2. Keratinized Stratified Squamous epithelium
3. Columnar cells
4. Cuboidal epithelium

Correct answer: 1. Nonkeratinized Stratified Squamous epithelium

Explanation: VAGINA HISTOLOGY Mucos membrane lining: Nonkeratinized Stratified Squamous epithelium Lamina propria: Loose connective tissue Muscle coat Fibrous coat: Connective tissue There are NO GLANDS in vaginal mucosa Vaginal fluid in acidic: Due to glycogen-fermentation by Doderlein's bacilli